Causes of soft S1 include:
1. Long standing severe MS
2. Obesity
3. Mitral Regurgitation
4. All of the above

Correct answer: 4. All of the above

Explanation: Answer is D (All of the above) Long standing severe M.S. (calcified mitral valve), obesity, mitral regurgitation and pleural effusions are all established causes of soft S1.